Xerophthalmia is caused by:
1. Vitamin A deficiency
2. Vitamin D deficiency
3. Vitamin C deficiency
4. Vitamin K deficiency

Correct answer: 1. Vitamin A deficiency